DOC for CML is :
1. Crizotinib
2. Ibrutinib
3. Imatinib
4. Gilterinib

Correct answer: 3. Imatinib

Explanation: Imatinib is a BCR - ABL tyrosine kinase inhibitor, which is the drug of choice for CML(Chronic myeloid Leukemia).